Nucleus of trigeminal nerve is located in ?
1. Midbrain
2. Pons
3. Medulla
4. Cerebellum

Correct answer: 2. Pons

Explanation: Ans. is'b'i.e.,PonsCranial nerves I, II : ForebrainCranial nerves III, IV : MidbrainCranial nerves V, VI, VII, VIII : PonsCranial nerves IX, X, XI, XII ) Medulla